Which of the following is the first target of distraction force?
1. Osteoclasts
2. Osteoblasts
3. Mononuclear cells
4. Endothelial cells

Correct answer: 4. Endothelial cells